First formed hard tissue in the tooth is:
1. Enamel
2. Dentine
3. Pulp
4. Cementum

Correct answer: 2. Dentine

Explanation: Dentin is first hard tissue in tooth to be formed (From DEJ towards pulp).
Enamel is 2nd (just after 1st layer of dentin formed) hard tissue in tooth to be formed (from cuspal or incisal area).